What is not given in fructose intolerance patient:
1. Glucose
2. Galactose
3. Fructose
4. Maltose

Correct answer: 3. Fructose

Explanation: Ans. (c) FructoseRef: Harper's Biochemistry, 30 edn. pg. 205th* Hereditary fructose intolerance (HFI) is an inborn error of fructose metabolism caused by a deficiency of the enzyme aldolase-B.* In the deficiency of Aldolase B enzyme, if fructose is ingested, it will lead to an accumulation of fructose-1- phosphate. This accumulation has downstream effects on gluconeogenesis and regeneration of ATP.* Symptoms of HFI include: Vomiting, hypoglycemia, jaundice, hemorrhage, hepatomegaly, hyperuricemia and potentially kidney failure.* The key identifying feature of HFI: Appearance of symptoms with the introduction of fructose to the diet.* Sucrose, sorbitol should also be restricted in diet.